Reservoir of Tetanus infection is
1. Man
2. Soil
3. Pig
4. Plants

Correct answer: 2. Soil

Explanation: Soil is the Reservoir of:

Tetanus
Anthrox
Coccidiomycosis
Mycetoma